Patient diagnosed with HIV and Tuberculosis. How to start ATT and c-A.R.T
1. Start ATT first
2. Start cART first
3. Start both simultaneously
4. Start cART only

Correct answer: 1. Start ATT first

Explanation: Ans. is 'a' i.e., Start ATT first In a case when HIV and TB are diagnosed together ATT should be started first. ATT started first, because of IRIS (Immune Reconstitution Inflammatory syndrome). If ART started first, it may improve CD4 cells at first, but later a previously acquired infection (TB, Herpes), responds with an overshelming inflammatory response that paradoxically makes the symptom of infection worse. Therefore, starting of ATT-2 weeks before ART, have shown to decrease the incidence of IRIS.